The following phenomenon is responsible for antibiotic resistance in bacteria due to slime production-
1. Co-aggregation
2. Biofilm formation
3. Mutation evolving in altered target site for antibiotics
4. Mutation evolving a target bypass mechanism

Correct answer: 2. Biofilm formation